Clostridium difficile can be spread through all EXCEPT-
1. Oral - fecal route
2. Direct
3. Hand to hand contact
4. Needles

Correct answer: 4. Needles

Explanation: Ans. (d) NeedlesRef: Microbiology by Ananthanarayan and Paniker 8th ed. /251, 263, 634* The organism is carried by about 3% of the general population and about 30% of the hospitalised patients in their gastrointestinal tract.* It is usually transmitted by the feco-oral route and direct contact and hand to hand transmission are important modes of transmission in the hospitalized patients.* Clostridium difficile causes pseudomembranous colitis.